Mediator of acute inflammation not derived from the cell is
1. Histamine
2. Kinins
3. Leukotrienes
4. Cytokines

Correct answer: 2. Kinins

Explanation: Chemical Mediators of Inflammation
Aka permeability factors or endogenous mediators of increased vascular permeability.
They are broadly classified into 2 groups:
i. Mediators released by cells.
ii. Mediators originating from plasma.
Chemical Mediators of Acute Inflammation
A. Cell-Derived Mediators
1. Vasoactive amines

Histamine
5-hydroxytryptamine
Neuropeptides

2. Arachidonic acid metabolites (Eicosanoids)
i. Metabolites via cyclo-oxygenase pathway

Prostaglandins
Thromboxane A2
Prostacyclin
Resolvins

ii. Metabolites via lipo-oxygenase pathway

5-HETE
Leukotrienes
Lipoxins

3. Lysosomal components (from PM Ns, macrophages)
4. Platelet-activating factor (PAF)
5. Cytokines

IL-1
TNF-α
TNF-β
IFN-γ
Chemokines

6. Free radicals

Oxygen metabolites
Nitric oxide

B. Plasma-Derived Mediators (Plasma Proteases) Products of:
1. The Kinin system.
2. The Clotting system.
3. The Fibrinolytic system.
4. The Complement system.